A 23 year old man comes to psychiatry outpatient due to symptoms of occasional sleep disturbances and 'feeling low'. The symptoms started 2 months back after he found that his girlfriend was cheating on him and was in a relationship with her boss. The patient immediately broke up with her. However since than he has been feeling sad, although he is able to feel much better the he hits the gym. The patient further reports that he doesn't like meeting people much and doesn't feel like going to work, although he hasn't taken any leaves and is able to fulfil all her professional responsibilities. What is the best next step in the treatment of this patient?
1. Fluoxetine
2. Psychotherapy
3. Repetitive transcanial magnetic stimulation
4. Break from office for a couple of days and joining back once he feels better

Correct answer: 2. Psychotherapy

Explanation: The diagnosis in this patient is 'adjustment disorder'. The patient developed symptoms as a direct result of a stressor (breakup). In these questions, the toughest part is to differentiate 'adjustment disorder' from 'depression'. Usually, in patients with depression, the functional impairment is much more pronounced and symptoms are more severe. In this question, the history that patient can feel better when he goes to gym tell us that the 'sadness' is not persistent and pervasive, which is the case in depression. Again, the history that he is able to go to office and work normally, again tell us that the functional impairment is not there. Both these hints help us in making a diagnosis of adjustment disorder. The treatment of choice in adjustment disorder is usually psychotherapy, although symptomatic medical treatment can also be given.